The use of highly active anti-retroviral therapy (HAART) is associated with the development of :
1. Keratitis
2. Anterior Uveitis
3. Poterior Uveitis
4. Optic neuritis

Correct answer: 3. Poterior Uveitis

Explanation: Immune Recovery Uveitis With initiation of HAART, there is an upregulation of pro-inflammatory cytokines like IL-2, IL-6 and TNF alfa and the T lymphocycte fraction (increase to range of 100 cells/mm3). Present understanding is that with increase in the body's mechanism to mount an immune response, the body mounts a response to previously quiet and hence undiagnosed opportunistic infections such as CMV retinitis. Clinical manifestations can be varied and most commonly involves the posterior segment of the eye, though anterior, intermediate uveitis are also reported. Papillitis may also be a feature.